Which of the following is a type of cutaneous tuberculosis?
1. Pemphigus vulgaris
2. Scrofuloderma
3. Lupus pernio
4. Lupus panniculitis

Correct answer: 2. Scrofuloderma

Explanation: Scrofuloderma is a type of cutaneous tuberculosis involving formation of sinuses and scarring. The most common site is cervical region.